A patient presented with thunder clap headache followed by unconsciousness with pregressive HI ranial nerve palsy. Likely diagnosis is -
1. Extradural hemorrhage
2. Aneurysmal subarachnoid hemorrhage
3. Basilar migraine
4. Cluster headache

Correct answer: 2. Aneurysmal subarachnoid hemorrhage